Anti-Saccharomyces cerevisiae antibodies ares seen in?
1. Crohn's disease
2. Scleroderma
3. SLE
4. Sjogren's syndrome

Correct answer: 1. Crohn's disease

Explanation: Anti-Saccharomyces cerevisiae antibodies (ASCA) in Crohn's disease are associated with disease severity but not NOD2/CARD15 mutations REFERANCE. nih.gov